True about psoriatic arthritis are all expect -
1. HLA-Cw6 association
2. Involvement of DIP joint
3. More common in males
4. DOC is methotrexate

Correct answer: 3. More common in males

Explanation: Psoriatic arthritis does not have sex predilection.
The largest and most consistent reported relative risk has been with HLA-Cω6.
Psoriatic arthritis involves DIP joints and the DOC for psoriatic arthritis is methotrexate.